Train of fasciculations is seen in:
1. Mivacurium
2. Succinylcholine
3. Baclofen
4. Galalmine

Correct answer: 2. Succinylcholine

Explanation: Succinylcholine